How to differentiate obstruction from paralytic lens?
1. Absence of rectal gas shadow
2. Abdominal distension
3. Elevation of hemidiaphragm
4. Multiple air fluid levels

Correct answer: 1. Absence of rectal gas shadow

Explanation: In x-ray of mechanical obstruction, there will be absence of rectal gas shadow.